On performing retinoscopy using a plane mirror in a patient who has a spherical refractive error of -3D with +2D cylindrical refractive error in 90 degree from a distance of 1 m, the reflex would move
1. Against the movement in horizontal axis, no movement in vertical axis
2. With the movement in vertical axis, against the movement in horizontal axis
3. Against the movement in vertical axis, with the movement in horizontal axis
4. Against the movement in vertical axis, no movement in horizontal axis

Correct answer: 4. Against the movement in vertical axis, no movement in horizontal axis

Explanation: The refractive error in both the axes are -3D in vertical axis and -1 D in horizontal axis.